A newborn baby presents with absent anal orifice and meconuria. What is the most appropriate management:
1. Transverse colostomy
2. Conservative management
3. Posterior saggital anorectoplasty
4. Perineal V-Y plasty

Correct answer: 1. Transverse colostomy

Explanation: The presence of meconium in urine reflects some form of communication between the urinary tract and rectum, and suggests a high type of anorectal malformation. Such patients require a diverting colostomy. The colostomy decompresses the bowel and provides protection during the healing of subsequent repair. Posterior Saggital Anorectoplasty (PSARP) is performed after 4-8 weeks. The presence of meconium in urine and a flat bottom are considered indications of a protective colostomy.